Which is the commonest cause of occular morbidity in the community -
1. Cataract
2. Refractive error
3. Occular injury
4. Vitamin A deficiency

Correct answer: 2. Refractive error

Explanation: Most common cause of blindness in India is cataract.
Second most common cause of blindness in India is refractive errors.
Most common cause of low vision is refractive errors.
And, refractive errors cause low vision in 100% of cases.
So, refractive errors should be the most common cause of ocular morbidity in India.